True about multipotential connective tissue cells is:
1. These are most radiosensitive
2. These are most radioresistant
3. They have intermediate sensitivity
4. None of the above

Correct answer: 3. They have intermediate sensitivity

Explanation: Multipotent connective tissue cells:

These cells have intermediate sensitivity.
These cells divide when there is a demand for more cells.

Eg: Endothelial cells, fibroblasts, mesenchymal cells.